Melanocytes are present in:
1. Stratum corneum
2. Stratum basale
3. Stratum granulosum
4. Dermis

Correct answer: 2. Stratum basale

Explanation: B i.e. Stratum basale